Calcium as a second messenger in hormone action involves all except
1. Gastrin
2. Oxytocin
3. ADH
4. Insulin

Correct answer: 4. Insulin

Explanation: The receptors for several protein hormones like insulin are themselves protein kinases which are switched on by binding of hormone.The kinase activity associated with such receptors results in phosphorylation of tyrosine residues on other proteins.Insulin is an example of a hormone whose receptor is a tyrosine kinase.Ref: DM Vasudevan, 7th edition, page no: 656, 318, 323